Pacemaker of the heart is:
1. SA node
2. AV node
3. Purkinje fibres
4. Cordae tendinal

Correct answer: 1. SA node